Rosenthal's syndrome is due to deficiency of
1. XI
2. VIII
3. XII
4. IX

Correct answer: 1. XI

Explanation: Hemophilia C(Rosenthal syndrome) It is due to deficiency of factor XI Ref: http://en.wikipedia.org/wiki/Hemophilia_C